Intrusion is best produced by
1. Light intermittent forces
2. Heavy intermittent forces
3. Light continuous forces
4. Heavy continuous forces

Correct answer: 3. Light continuous forces